A 1.5 year old female is brought to the clinic with complaints of excessive enlargement of head, intolerance to feeds and severe malnourishment. MRI imaging was suggestive of a medulloblastoma causing obstructive hydrocephalus. Which of the following is an example of irrational manattem,-the patient?
1. Craniotomy and sub-total excision of the tumour. Surgeon leaves the layer of the tumour adherent with colliculus
2. First ventirculoperitoneal shunt was done
3. CCNU and vincristine were given as chemotherapy
4. Radiotherapy 35-40 Gy was given to the whole craniospinal axis

Correct answer: 4. Radiotherapy 35-40 Gy was given to the whole craniospinal axis

Explanation: Ans. d. Radiotherapy 35-40 Gy was given to the whole craniospinal axis